Neurotransmitter which is found in increased qualities in mania is
1. Noradrenaline
2. Serotonin
3. Acetylcholine
4. GABA

Correct answer: 1. Noradrenaline

Explanation: Noradrenaline